Billu Yadav, a prisoner is brought to you for physical examination. You note a bruise which is greenish in colour. What is the approximate age of the bruise?
1. 2 hours
2. 2 - 3 days
3. 5 - 6 days
4. 7 - 12 days

Correct answer: 3. 5 - 6 days

Explanation: Age of bruise in relation to colour is given below: Red - immediately after the injury Blue - few hours to 3 days Bluish black or brown - 4th day Greenish - 5 -6 days Yellow - 7 - 12 days Ref: Essentials of Forensic Medicine and Toxicology by Narayan Reddy, 21st Edition, Page 154.